"Coeur en Sabot" is seen in
1. Tetralogy of fallot
2. ASD
3. Transposition of great arteries
4. TAPVC

Correct answer: 1. Tetralogy of fallot

Explanation: Coeur en Sabot means boot shaped heart - Tetralogy of fallot.